Drug of choice for Diphtheria carriers is
1. Erythromycin
2. Tetracycline
3. Amoxycillin
4. Penicillin

Correct answer: 1. Erythromycin

Explanation: Diphtheria:- Clinical features :- * Present as pharyngo tonsillar form (most common), laryngo tracheal form (most severe) and nasal diphtheria (mild form) Control of diphtheria * Cases to be isolated for 14 days * Treatment- cases- Antitoxin * Treatment Carriers - Erthromycin-10 day course Ref:- K Park, 24th ed; pg num:- 171